All are chest X-Ray features suggestive of VSD in a child, EXCEPT:
1. Large aortic knob
2. Increased splaying of the carina
3. Cadiomegaly
4. Pulmonary plethora

Correct answer: 1. Large aortic knob

Explanation: Chest X-Ray are typically normal in small VSD. In case of large VSD the findings are: 1. Cardiomegaly 2. Pulmonary plethora 3. Increased splaying of the carina with an anlge more than 90 with left main bronchi. 4. Small aortic knob 5. Increased left atrium Ref: Essentials of Pediatric Radiology, Page - 44